A 55years male presented with dry mouth, & rheumatoid arthritis with high titre of anti SS-A and SS-B antibodies, diagnosed a case of minor salivary gland tumour. The earliest histologic finding in
1. Endothelial cells
2. Basophils
3. Lymphocyte
4. Eosinophils

Correct answer: 3. Lymphocyte

Explanation: (Lymphocytes) (235-36-Robbins 7th) (148- Basic pathology 8th)* Clinical features and investigation suggest diagnosis is Sjogren's Syndrome* SJOGREN'S SYNDROME - Triad* Dry eye (Keroconjunctivitis)* Dry mouth (Xerostomia)]Sicca* Rheumatoid arthritis * Two antibodies directed against two ribonucleoprotein antigen SS-A (Ro) and SS-B (La). These antibodies are thus considered serologic markers of the disease Sjogren syndrome is in all likehood initiated by CD4+ Tcells* Associated with EBV, Hepatitis -C, HTLV-1* The earliest histologic finding in both the major and minor salivary glands is periductal andperivascualar lymphocytic infiltration ** may form pseudolymphoma* Biopsy of the lip (to examine minor salivary glands) is essential for the diagnosis of Sjogren's syndrome